Kveim Slitzbach test is useful in the diagnosis of
1. Tuberculosis
2. Sarcoidosis
3. Leprosy
4. Cat scratch disease

Correct answer: 2. Sarcoidosis